A patient presenting with progressive dysphagia and in Barium shows bird-beak appearance. What is the Investigation of Choice?
1. Manometry
2. pH monitoring
3. Endoscopy
4. CECT scan

Correct answer: 1. Manometry

Explanation: Ans. (a) ManometryRef: Sabiston 20th Edition, Page 1018* IOC for Achalasia Cardia is Manometry.* Three types of Achalasia cardia are there as per Chicago Classification